Which gland is derived from foramen caecum?
1. Pituitary
2. Thyroid
3. Thymus
4. Parathyroid

Correct answer: 2. Thyroid

Explanation: The site of origin of the thyroglossal duct is foramen caecum. It grows down in the midline into the neck. Its tip soon bifurcates. Proliferation of the cells of this bifid end gives rise to the two lobes of the thyroid. Ref: Textbook of Human Embryology Inderbir Singh 6th Ed Page 119.